Which of the following statement is TRUE about a malignant ameloblastorna
1. Cytopathologic features of malignancy seen in primary, recurrent or any metastatic tumor foci
2. Cytopathologic features of malignancy seen only in primary tumor
3. Cytopathologic features of malignancy seen only in metastatic tumor
4. Metastasizing tumor that is cytopathologically similar to its benign counterparts in both primary and metastatic deposits.

Correct answer: 4. Metastasizing tumor that is cytopathologically similar to its benign counterparts in both primary and metastatic deposits.